Sites of Anatomical Ureteric constrictions are following except
1. Ureteropelvic junction
2. Ureterovesical junction
3. Crossing of iliac artery
4. Ischial spine

Correct answer: 4. Ischial spine